Whisper is
1. 10 db
2. 20 - 30 db
3. 30 - 50 db
4. 60 db

Correct answer: 2. 20 - 30 db